A 30-year old pregnant woman comes to your clinic with decreased sleep, increased appetite and hyperactivity for 2 weeks. A diagnosis of mania is made. Further probing reveals four episodes of major depression in the past two years. What drug will you prescribe to this patient?
1. Haloperidol
2. Lithium
3. Promethazine
4. Clonazepam

Correct answer: 1. Haloperidol

Explanation: Ans: A. HaloperidolHaloperidol - Only antipsychotic mentioned in the options which can be used in pregnant patients suffering from bipolar disorders.